Most effective step in treatment of gas gangrene is:
1. Hyperbaric oxygen
2. Debridement
3. Debridement & wound closure
4. Antibiotics

Correct answer: 2. Debridement

Explanation: Ans: B i.e. Debridement Management of gas gangrene The role of hyperbaric oxygen in the management of gas gangrene is not clear as in necrotizing fasciitis but it is recommended in severe cases if the facilities are available The mainstay of management of gas gangrene is early surgical excision of the necrotic tissue No attempt is made at closure of the wounds High dose penicillin G & clindamycin, along with third generation cephalosporins, should be given intravenously until the patients toxicity abates.